Not a complication of Gall stones
1. Acute Cholangitis
2. Diverticulosis
3. Mucocele
4. Empyema of the gall bladder

Correct answer: 2. Diverticulosis

Explanation: Gallstones can result in mucocele of gallbladder due to obstruction of cystic duct by a stone in the neck(hamann's pouch)of the gallbladder,without any infection or inflammation,thereby resulting in absorption of all bile and secretion of mucous into the gallbladder allowing gallbladder to distend(Hydrops of the gallbladder).Mucocele of gallbladder gets infected to produce Empyema of gallbladder where it is filled with pus. Gallstones can also lead to recurrent cholangitis Reference:SRB's manual of surgery,5th edition,page no:642